APACHE II score involves all except?
1. GCS
2. Arterial PH
3. Mean BP
4. Serum amylase

Correct answer: 4. Serum amylase

Explanation: Ans. (d) Serum amylaseRef-.Harrison 19th edition, Chapter 267* Acute Physiology and Chronic Health Evaluation II is the most commonly used Severity of illness scoring system in America* Age, type of ICU admission (after elective surgery vs. nonsurgical or after emergency surgery), a chronic health problem score, and 12 physiologic variables (the most severely abnormal of each in the first 24 h of ICU admission) are used to derive a score.* The predicted hospital mortality is derived from a formula that takes into account the II score, the need for emergency surgery, and a weighted, disease-specific diagnostic categoryVITALS* Rectal temperature, degC* Mean blood pressure, mmHg* Heart rate* Respiratory rate* Arterial Ph* Oxygenation* If Flo2>0.5,use(A-a)Do2* If Fo2 <0.5, use Pao2LABS* Serum sodium, meq/L* Serum potassium, meq/L* Serum creatinine, mg/dL* Hematocrit* WBC count, 103/mL* Glasgow Coma ScorePoints Assigned to AgeAge, Years<4545-5455-6465-74>75Points Assigned to Chronic HealthNoneIf patient is admitted after elective surgeryIf patient is admitted after emergency surgery or for reasons other than after elective surgery